Sign of puberty in boys is
1. Enlargement of penis
2. Enlargement of testes
3. Appearance of pubic hair
4. Appearance of axillary hair

Correct answer: 2. Enlargement of testes

Explanation: In girls, the first visible sign of puberty is the appearance of breast buds (Thelarche), between 8-12 years of ageIn boys the first visible sign of puberty is testicular enlargement, beginning as early as 9 1/2 yr.(Refer: Nelson's Textbook of Pediatrics, SAE, 1st edition, pg no. 926)